Vidian nerve is formed by union of?
1. Superficial petrosal nerve and deep petrosal nerve
2. Greater petrosal nerve and superficial petrosal nerve
3. Greater petrosal nerve and deep petrosal nerve
4. Greater petrosal nerve and external petrosal nerve

Correct answer: 3. Greater petrosal nerve and deep petrosal nerve

Explanation: Greater petorsal nerve units with deep petrosal nerve to form nerve to pterygoid canal (also called vidian nerve).